Medical adrenalectomy is done with :
1. Aminoglutethimide
2. Methotrexate
3. Melphalan
4. Flutamide

Correct answer: 1. Aminoglutethimide